Which of the following sphingolipidoses  has a characteristic presentation of exaggerated startle response
1. Fabry's Disease
2. Tay Sachs disease
3. Niemann Pick disease
4. Gaucher disease

Correct answer: 2. Tay Sachs disease

Explanation: Refer the byte "Sphingolipidoses"